In hypovolemic shock:
1. The central venous pressure is high
2. The extremities are pale, cold and sweating
3. There is always a site of bleeding
4. Urine output is unaffected

Correct answer: 2. The extremities are pale, cold and sweating